A 70yr old male has a pathological fracture of femur. The lesion appears a lytic on X- rays film with a circumscribed punched out appearance .The curetting from fracture site is most likely to show which of the following?
1. Diminshed and thinned trabecular bone
2. Sheets of atypical plasma cells
3. Metaplastic prostatic adenocarcinoma
4. Malignant cells forming osteoid bone

Correct answer: 2. Sheets of atypical plasma cells

Explanation: Olf patients along with lytic circumscribed punched our X- rays appearance suggests multiple myeloma. Multiple myeloma most often presents as multifocal destructive bone tumours composed of plasma cells throughout the skeletal system.(ref Robbins 9/e p599,7/679)